Recently used irrigation solution is:
1. MTAB
2. MTAC
3. MTAD
4. MTAE

Correct answer: 3. MTAD